Ideal contraceptive for a couple living in different cities meeting only occasionally:
1. Barrier method
2. IUCD
3. OCP
4. DMPA

Correct answer: 1. Barrier method

Explanation: Ans-A Barrier method Barrier method is a suitable contraceptive option for those who have infrequent sexual intercourse."Condom are suitable for use in old age, for a couple who have infrequent coitus, during lactation, during holidays, a subject who can not tolerate OCP, IUCD. The practice of Fertility Control by S. K. Chaudhary 7/ep71